in case of sudden death in a young football p layer the first clinical suspicion would rest on which of the following differentials ?
1. Arrtbymogenic right ventricular dysplasia
2. Takotsubo cardiomyopathy
3. Atrial septal defect
4. Eisenmenger complex

Correct answer: 1. Arrtbymogenic right ventricular dysplasia

Explanation: Ans. is 'a' i.e., Arrthymogenic right ventricular dysplasia o The most important cause of sudden death in professional footballer in setting of beta myosin testing being available is not HOCM but arrythmogenic right ventricular dysplasia.o The Desmin gene is responsible for a defect in muscle of right ventricle leading tofibrofatty replacement of the muscle. These patients in setting of adrenergic stimulation can develop a VT or Torsades de Pointes leading to death on the football field.o Takotusbo cardiomyopathy presents in setting of catecholamine surge like an emotional break-up or getting stuck in an elevator during an earthquake.o ASD presents with exercise intolerance due to secondary pulmonary' artery hepertension.o Eisenmenger patient will be so sick that he cannot be expected to be a football player.